Best site for collection of specimen for N.meningitides -
1. Oral swab
2. Nasal swab
3. Nasopharyngeal swab
4. Skin lesions

Correct answer: 3. Nasopharyngeal swab